All of the following drugs are used for secondary prevention of MI except
1. Beta blockers
2. Aspirin
3. Calcium channel blockers
4. ACE inhibitors

Correct answer: 3. Calcium channel blockers

Explanation: Various secondary preventive measures are at least partly responsible for the improvement in the long-term mortality and morbidity rates after STEMI.Aspirin ClopidogrelACE inhibitors or ARBsBeta-adrenoceptor blockersWarfarin (Evidence suggests that warfarin lowers the risk of late mortality and the incidence of reinfarction after STEMI.)Modification of risk factors of atherosclerosisRef: Harrison 19e pg: 1610